An inpatient of the hospital suffers burns injury when hot bottles were used for the treatment. In the case, the hospital incharge was also charged for the negligence under the doctrine of ___
1. Vicarious liability
2. Res ipsa loquitur
3. Novus actus interveniens
4. Contributory negligence

Correct answer: 1. Vicarious liability

Explanation: Vicarious Liability/Respondeat Superior An employer is responsible not only for his own negligent act, but also for the negligent act of his employees by the principle of 'respondeat superior'. It also called the 'Master-Servant Rule'. In medical practice, usually, the principal doctor becomes responsible for any negligence of his assistants (both medical and para-medical). Both maybe sued by the patient, even though the principal has no part in the negligent act. A doctor may be associated temporarily with another doctor with the establishment of an employee employer relationship between them. Thus, if one surgeon assists another in the operating room for a fee, the assistant is considered as an employee of the principal surgeon.